All of the following are the known causes of osteoporosis except :
1. Fluorosis
2. Hypogonadism
3. Hyperthyroidism
4. Hyperparathyroidism

Correct answer: 1. Fluorosis

Explanation: Answer is A (Fluorosis): Fluorosis is associated with `Osteosclerosis' and not with osteoporosis. Hypogonodism, Hyperthyrodism and Hyperparathyrodism are all known causes for osteoporosis.